A drug used for Buerger's disease?
1. Propranolol
2. Xanthinol nicotinate
3. GTN
4. All the above

Correct answer: 2. Xanthinol nicotinate

Explanation: A drug used in Buerger's disease is Xanthinol nicotinate. Complamina retard (xanthine nicotinate) tablet was used daily once earlier. Now, graded injection of xanthine nicotinate 3000 mg from day 1 to 9000 mg on day 5 is used to promote ulcer healing.
It also helps to increase claudication distance as a temporary basis. Beta blockers such as propranolol & GTN have no ulcer healing property in case of Thromboangitis obliterans (Buerger's disease).